Shock lung is characterized by ?
1. Alveolar proteinosis
2. Bronchiolitis obliterans
3. Diffuse pulmonary hemorrhage
4. Diffuse alveolar damage

Correct answer: 4. Diffuse alveolar damage

Explanation: Diffuse alveolar damage Make it clear that shock lung is a synonym for acute respiratory distress syndrome, diffuse alveolar damage acute alveolar injury and acute lung injury. - Shock lung = ARDS = Diffuse alveolar damage = Acute alveolar injury = acute lung injury Pahology i) Acute stage - The lungs are heavy firm, red and boggy and exhibit congestion, interstitial and intraalveolar edema, inflammation and fibrin deposition. - The alveolar walls become lined with waxy hyaline membranes that are morphologically similar to those seen in hyaline membrane disease of neonates. - The hyaline membrane contains fibrin rich edema fluid mixed with the cytoplasmic and lipid remnants of necrotic epithelial cells. ii) Organizing stage - In this stage type II epithelial cells undergo proliferation in an attempt to regenerate the alveolar lining. iii) Resolution - Resolution is unusual